Uncommon cause of upper GI bleed ?
1. Varices
2. Erosive gastritis
3. Peptic ulcer
4. Carcinoma stomach

Correct answer: 4. Carcinoma stomach

Explanation: Ans. is 'd' i.e.Carcinoma stomach